Linitis plastica is found in all except
1. Syphilis
2. Carcinoma
3. Sarcoid
4. Leiomyosarcoma

Correct answer: 4. Leiomyosarcoma